Normal reticulocyte count in newborn is -
1. 0 - 1%
2. 1 - 1.5%
3. 3 - 6%
4. 6 - 9 %

Correct answer: 3. 3 - 6%

Explanation: Ans. is 'c' i.e., 3 - 6% Normal reticulocyte count in adults is 1 - 1.5% and in newborns is 3 - 6 %